Changes seen in atherosclerotic plaque at the time of rupture are all except ?
1. Thin fibrosis cap
2. Multiple foam cap
3. Smooth muscle cell hypertrophy
4. Cell debris

Correct answer: 3. Smooth muscle cell hypertrophy

Explanation: Ans. is 'c' i.e., Smooth muscle cell hypertrophy Rupture occurs in advanced atherosclerotic lesion. In advanced atheroma, smooth muscle cells undergo apoptosis and advanced atheromatous plaque often have mostly fibrous character with lack of smooth muscle cells that are seen in less advanced lesion.